The most common cause of acquired arteriovenous fistula is
1. Bacterial infection
2. Fungal infection
3. Blunt trauma
4. Penetrating trauma

Correct answer: 4. Penetrating trauma

Explanation: . Trauma is the most common cause of accquired atreiovenous fistula(AV fistula).most common sites involved are femoral region,brachial region,popliteal region,wrist,aorta-vena canal,abdomen.It may be following road traffic accidents,penetrating wounds,cock fight injury(common in south india).Other causes includes after surgical intervention of major vessels,cimino fistula(AVF created for renal dialysis). Refer page no 219 of SRB's manual of surgery 5th edition.